Parvo virus causes all except
1. Non - immune hydrops fetalis
2. Polyarthralgia syndrome
3. Heamorrhagic cystitis
4. Erythema infectiosum

Correct answer: 3. Heamorrhagic cystitis

Explanation: Heamorrhagic cystitis is caused by Adenovirus type 11, 21.